In minimal change disease following is not seen -
1. Massive proteinuria
2. Normal electron microscopic appearance
3. Light microscopy normal
4. Good response to steroids

Correct answer: 2. Normal electron microscopic appearance

Explanation: (B) (Normal electron microscopic appearance) (650- Harshmohan 7th)Minimal change disease (910-Rabbins pathologic of Basis of disease)Most frequent clinical presentationNephritic syndrome ** (selectiveproteinuria)PathogenesisUnknown; loss of glomerular polyanion podocyte injuryLight microscopyNormal; lipid in tubulesFluoroscence microscopyNegativeElectron microscopyLoss of foot processes, no depositsMINIMAL CHANGE DISEASE (MED)*Relatively benign disorder is characterized by uniform and diffuse effacement offoot processes of visceral epithelialcell (podocyte), detectable only by electron microscopy in glomeruli that appear virtually normal by light microscopy.*Most frequent cause of nephritic syndrome in children (between 2 and 6 years). The disease sometimes follows a respiratory infection or routine prophylactic immunization.*A characteristic feature its usually dramatic response to corticosteroid therapy.*MCD in adults can be associated with Hodgkin lymphoma and less frequently other lymphomas and leukemias.*In addition secondary MCD may follow NSAID therapy, usually in associated with acute interstitial nephritis.*Hyper coagulation in Nephrotic syndrome is causes by loss of antithrombin III ***Most common fixative used in electron microscopy -formalin**Fixative used in histopathology - 10% buffered neutral formalin